Dihydrotestosterone acts on
1. Pituitery
2. Extermal genitalia
3. Internal genitalia
4. Testis

Correct answer: 2. Extermal genitalia

Explanation: Ref; Ganong's review of medical physiology; 24th edition; page no:-425Dihydrotestosterone (commonly abbreviated to DHT), or 5a-dihydrotestosterone (5a-DHT), also known as androstanolone (5a-androstane-17b-ol-3-one) as well as 17b-hydroxy-5a-androstane-3-one, is a sex steroid and androgen hormone. The enzyme 5a-reductase synthesizes DHT in the prostate, testes, hair follicles, and adrenal glands. This enzyme reduces the 4,5 double-bond of the hormone testosterone. During embryogenesis, DHT has an essential role in the formation of the male external genitalia, while in the adult DHT acts as the primary androgen in the prostate and in hair follicles.